Hepatitis E clinically resembles -
1. Hepatitis A
2. Hepatitis B
3. Hepatitis C
4. Hepatitis D

Correct answer: 1. Hepatitis A

Explanation: Type E hepatitis was previously is mistaken for hepatitis A because of clinical and epidemiological similarities. REF:ANANTHANARAYAN AND PANIKER'S TEXTBOOK OF MICROBIOLOGY 9TH EDITION PAGE NO-550